Supine hypotension syndrome is characteristic finding of the following trimester:
1. First trimester of pregnancy
2. 2nd trimester of pregnancy
3. 3rd trimester of pregnancy
4. Twin pregnancy

Correct answer: 3. 3rd trimester of pregnancy

Explanation: During third trimester, in about 10 percent of women, supine compression of the great vessels by the uterus causes significant arterial hypotension, sometimes referred to as the supine hypotensive syndrome. Also when supine, uterine arterial pressure--and thus blood flow--is significantly lower than that in the brachial artery. This may directly affect fetal heart rate patterns. This also occurs with hemorrhage or with spinal analgesia. Ref: Cunningham F.G., Leveno K.J., Bloom S.L., Hauth J.C., Rouse D.J., Spong C.Y. (2010). Chapter 5. Maternal Physiology. In F.G. Cunningham, K.J. Leveno, S.L. Bloom, J.C. Hauth, D.J. Rouse, C.Y. Spong (Eds), Williams Obstetrics, 23e.